A child presented with evisceration of bowel loops coming out of a defect in abdominal wall right to the umbilicus The possible diagnosis is
1. Omphabeele
2. Gastroschisis
3. umbilical hernia
4. patent urachas

Correct answer: 2. Gastroschisis

Explanation: REF : VISHRAM SINGH EMBRYOLOGY